Fluoride is carried in the blood via:
1. Plasma
2. RBC'S
3. Both plasma & RBC
4. WBC'S

Correct answer: 3. Both plasma & RBC